Immune reconstitution inflammatory syndrome typically occurs following anti retroviral therapy after a duration of:
1. 1-2 weeks
2. 2-6 weeks
3. 6-12 months
4. 1-2 years

Correct answer: 2. 2-6 weeks

Explanation: Typically immune reconstitution inflammatory syndrome occurs within 2-12weeksof initiation of ART, though it may present later between 6 weeks to 6 months. Ref: